Basal skull view (submentovertical view) X-ray is best to visualize -
1. Ethmoid sinus
2. Frontal sinus
3. Sphenoid sinus
4. Maxillary sinus

Correct answer: 3. Sphenoid sinus